True regarding breast carcinoma is:
1. Occurs most commonly in upper inner quadrant
2. Late menarche and early menopause predisposes for breast malignancy
3. Commoner in nulliparous women
4. Unrelated with the family history of breast cancer

Correct answer: 3. Commoner in nulliparous women

Explanation: Ans. (c) Commoner in nulliparous women(Ref. Bailey 26th edition Page 808)* MC site of cancer breast is Upper Outer quadrant.* Early menarche and late menopause is associated with cancer breast* Common in nulliparous women.* Family history is very important risk factor for cancer breast.